Pellagra in jowar eating population is due to ?
1. Niacin in bound form
2. Deficiency of tryptophan
3. Excess of leucine
4. High consumption of milk and milk products

Correct answer: 3. Excess of leucine

Explanation: Ans. is 'c' i.e., Excess of leucine